A mobile, variegated large lump in the breast of a 20-year old female is most likely to be due to-
1. Medullary carcinoma
2. Inflammatory carcinoma
3. Cystosacoma phylloides
4. Lobular carcinoma

Correct answer: 3. Cystosacoma phylloides

Explanation: Ans. is 'c' i.e. Cystosarcoma phylloides